Osteoarthritis does not involve?
1. Hip joint
2. DIP
3. Ankle joint
4. Cervical region

Correct answer: 3. Ankle joint

Explanation: ANSWER: (C) Ankle jointREF: Harrisons 18th ed chapter 332Commonly affected joints in osteoarthritis include:Cervical and lumbosacral spine, hip, knee, and first metatarsal phalangeal joint (MTP).In the hands, the distal interphalangeal joints (heberden's node, most common) and proximal interphalangeal joints (bouchard's node) and the base of the thumb (1st CMC) are often affected.Joints usually spared are:WristElbowAnkleMCPRadiological features of OA:Narrowing of joint space (earliest feature)Sclerosis of subchondral boneCystic lesions, osteophytes, loose bodies.